Grooves, which are present in gum pads between the
canine and the 1st molars and relates the upper and
lower gum pads are called as
1. Gingival groove
2. dental groove
3. Vestibular sulcus
4. lateral sulcus

Correct answer: 4. lateral sulcus